Biological marker for antisocial behavior in boys is :
1. Low serum testosterone
2. Shortened REM latency time
3. Low resting pulse rate
4. Increased urinary dopamine levels

Correct answer: 3. Low resting pulse rate

Explanation: Low resting pulse rate is the constant predictor of conduct and antisocial behavior.